WHO definition of abdominal obesity is ?
1. Waist - hip ratio > 0.80 in females
2. Waist - hip ratio > 0.85 in females
3. Waist - hip ratio > 0.90 in females
4. Waist - hip ratio > 0.95 in females

Correct answer: 2. Waist - hip ratio > 0.85 in females

Explanation: Ans. is 'b' i.e., Waist - hip ratio > 0.85 in females Assessment of obesity Following parameters are used to assess obesity :? 1) Skin fold thickness (SFT) Since it is most accessible, SFT is the most common method used to assess obesity. Measurements are taken at 4 sites : mid triceps (best site), biceps, subscapular and suprailiac regions. The sum of measurements _ 50 mm in girls and 240 mm in boys indicate obesity. At single mid triceps level (best site to measure SFT), thickness 18 mm in boys and 32 mm in girls indicate obesity. The instrument used to estimate SFT is Harpenden skin callipers. 2) Waist circumference (WC) and Waist / Hip ratio (WHR) These are good predictors for metabolic complications and risk of cardiovascular disease. The cut-off for waist circumference is 102 cms in boys (for India 90 cms) and 88 cms in girls (for India . 80 cms). WHR > 1.0 in men and > 0.85 in women indicates obesity and abdominal fat accumulation. 3) Waist-Height ratio (WHtR) It is the best indicator of cardiovascular risk. It is independent of age and sex. Cut-off value is 0.5. 4) Indices based on weight and/or height These are :? i) Body mass index (Qetelet's index) It is used internationally as reference standard for assessing the prevalence of obesity. It is dependent both on height and weight (has been explained earlier). ii) Ponderal index It is dependent both on height and weight. It is defined as height (cm) divided by cube root of weight (kg).